Incentives given to ASHA for ensuring spacing of 3 years after the birth of 1st child:
1. Rs. 200/-
2. Rs. 500/-
3. Rs. 700/-
4. Rs. 1000/-

Correct answer: 2. Rs. 500/-

Explanation: Ensuring Spacing at Birth (ESB) Under a new scheme launched by the Government of India, services of ASHAs to be utilized for counseling newly married couples to ensure spacing of 2 years after marriage and couples with 1 child to have spacing of 3 years after the birth of 1st child. ASHA would be paid following incentives under the scheme: For delaying first childbirth by 2 years after marriage Rs. 500/- For ensuring spacing of 3 years after the birth of 1st child Rs. 500/- The couple opts for a permanent limiting method up to 2 children only. Rs.1000/-